True regarding Na+ - K+ pump
1. Hetrodimer - homogenous
2. Hetrodimer - hetrogenous
3. Homodimer - hetrogenous
4. Homodimer - homogenous

Correct answer: 2. Hetrodimer - hetrogenous

Explanation: B i.e. Hetrodimer hetrogenous